Which of the following is abnormal constituent of urine:
1. Glucose
2. Creatine
3. Urea
4. None of the above

Correct answer: 1. Glucose